Largest size is:
1. Spermatogonium
2. Primary Spermatocyte
3. Secondary spermatocyte
4. Spermatozoa

Correct answer: 2. Primary Spermatocyte

Explanation: Ans. (b) Primary SpermatocyteRef: I.B. Singh 9th ed. H4-15* Please refer to the image given about how spermatogonium undergoes mitotic division and forms primary spermatocyte, which further forms secondary spermatocyte and spermatic after first and 2nd meiotic division respectively.* Microscopically primary spermatocyte is largest in size among all.* The formation of spermatogonium to spermatozoa takes around 74 days.